Best treatment for massive pulmonary embolism:
1. Intravenous tissue plasminogen activator
2. Heparin
3. Pulmonary thrombo-embolectomy
4. Low molecular weight heparin + warfarin

Correct answer: 1. Intravenous tissue plasminogen activator

Explanation: Ans. A. Intravenous tissue plasminogen activator* Massive pulmonary embolism is best managed by thrombolysis using tissue plasminogen activator.* In case thrombolysis is contraindicated then in these patient fogarty catheter removal of clot in pulmonary artery would be done.* In submassive pulmonary embolism heparin is used. Chronic pulmonary embolism leading to pulmonary- hypertension (known as chronic thromboembolic hypertension) is treated with a surgical Procedure known as a pulmonary thromboendarterectomy